which of the following Is not an adverse effect of growth hormone therapy?
1. Carpal tunnel syndrome
2. Hypoglycemia
3. Intracranial hypertension
4. Slipped femoral epiphysis

Correct answer: 2. Hypoglycemia

Explanation: Hypoglycemia is not an adverse effect of growth hormone therapy. growth hormone or somatotropin cause hyperglycemia by increasing the insulin resistance (REF.Essential of medical pharmacology K D TRIPATHI 6 Edition, Page No 234,235)